Incubation period of plasmodium vivax is-
1. 5-7 days
2. 7-10 days
3. 10-14 days
4. 15-30 days

Correct answer: 3. 10-14 days